Calcium absorption is from:
1. Proximal small intestine
2. Distal ileum
3. Middle small intestine
4. Ascending colon

Correct answer: 1. Proximal small intestine

Explanation: Ans. (a) Proximal small intestine(Ref: Ganong, 25th ed/p.375)Active calcium absorption occurs mainly in the proximal small bowel (duodenum and proximal jejunum)